Superior pancreaticoduodenal artery is a branch of
1. Splenic artery
2. Gastroduodenal artery
3. Right gastric artery
4. Superior mesenteric artery

Correct answer: 2. Gastroduodenal artery

Explanation: (Gastroduodenal artery) (263-BDC-2 4th) (261-Snell 7th)* Superior pancreatico duodenal artery is a branch of Gastroduodenal artery* Inferior pancreatico duodenal artery is a branch of superior mesenteric arteryHEPATIC ARTERY - branchesSUPERIOR MESENTERIC ARTERY branches* Right gastric artery* Gastroduodenal artery-*Right gastroepiploic-*Superior pancreatico duodenal* Right and left hepatic arteries (Right hepatic artery gives off cystic artery)* *Left gastroepiploic artery is branch of splenic artery* *Inferior pancreatico duodenal artery* Middle colic artery* Iliocolic artery (Appendicular artery is a branch of the posterior cecal artery)* Jejunal and Ileal branches